The most common cause of Cushing's syndrome is:
1. Pituitary adenoma
2. Adrenal adenoma
3. Ectopic ACTH
4. Iatrogenic steroids

Correct answer: 4. Iatrogenic steroids

Explanation: The most common cause of Cushing's syndrome is Iatrogenic administration of steroids for a variety of reasons." REF: Harrison book of internal medicine 21ST EDITION